Satiety center is located in which nucleus of hypothalamus ?
1. Posterior
2. Ventrolateral
3. Ventromedial
4. Supraoptic

Correct answer: 3. Ventromedial

Explanation: Ans. is 'C' i.e., VentromedialThe ventromedial nucleus is located in the basomedial hypothalamus, and is a critical node of the neural circuitry of female sexual behavior - so, not surprisingly . This ventromedial hypothalamus is classically known as a "satiety center"